Safest site for IM injection in children:
1. Vastus lateralis
2. Dorsogluteal.
3. Deltoid.
4. Ventrogluteal.

Correct answer: 1. Vastus lateralis